Which of the following is a feature of papillon lefevre
syndrome?
1. destructive periodontitis
2. palmar-plantar keratosis
3. calcification of dura
4. all the above

Correct answer: 4. all the above